Beryllium exposure is associated with?
1. Pulmonary fibrosis
2. Granulomatous lung disease
3. Lung cancer
4. Chronic bronchitis

Correct answer: 2. Granulomatous lung disease

Explanation: Ans. is 'b' i.e., Granulomatous lung disease